Phlegmon is a
1. Sexually transmitted disease
2. Type of celtulites
3. Type of osteomyelitis
4. Venereal disease

Correct answer: 2. Type of celtulites